Multiple trauma patient, first to be managed is-
1. Secure airway
2. Breathing
3. Conicalbrace
4. Circulation

Correct answer: 1. Secure airway

Explanation: Ans. is 'a' i.e., Secure airway [Ref: Schuartz 9th/ep. 136; Sabiston 18th/ep. 483J"The first step in managing an injured patient is securing an adequate airway "